Most common presentation of vulval carcinoma is :
1. Pain
2. Wart
3. Non-healing ulcer
4. Pruritis

Correct answer: 4. Pruritis

Explanation: The presenting features include vulval irritation and pruritus (70%), a vulval mass (60%) and bleeding (30%). Reference : Gynaecology illustrated 6th edition page no 171